Which of the following thalamic nuclei do not project to neocortex?
1. Reticular
2. Pulvinar
3. Interlaminar
4. Anterior thalamic

Correct answer: 1. Reticular

Explanation: Except reticular nuclei every other thalamic nuclei project to neocortex. The output of reticular nuclei is mainly to other thalamic nuclei